In order to view the zygomatic arches, which of the following projection is recommended?
1. Submentovertex view
2. Underexposed submentovertex view
3. OPG
4. Occipitomental view

Correct answer: 2. Underexposed submentovertex view